Hyperbaric oxygen therapy is used for the treatment of all except:
1. Myonecrosis.
2. Osteoradionecrosis.
3. Alveolar osteitis.
4. Chronic osteomyelitis.

Correct answer: 3. Alveolar osteitis.

Explanation: Clostridium perfringens cause gas gangrene or myonecrosis. Gas gangrene is characterized by skin colour change from pallor to bronze/purple discoloration and the skin is tense and exquisitely tender. Gas in the tissues may be obvious with crepitus on clinical examination or visible on radiograph.
Surgical debridement, antibiotic therapy with high-dose I.V. penicillin, clindamycin and metronidazole and hyperbaric oxygen therapy are used for treating gas gangrene.
Note: Hyperbaric oxygen therapy is also used for osteoradionecrosis and chronic osteomyelitis.
Cl. tetani causes tetanus and cl. difficile causes pseudomembranous colitis.